Anticoagulant of choice for prophylaxis of pulmonary thromboembolism is:
1. Heparan sulfate
2. Protamine sulfate
3. Low molecular weight heparin
4. Warfarin

Correct answer: 3. Low molecular weight heparin

Explanation: Ans. C: Low molecular weight heparin Small fixed doses of heparin are given deep subcutaneously to prevent venous thromboembolism. LMW Heparins are prepared from native heparin.